The following factors increase the cardiac output except:
1. Preload
2. After load
3. Heart rate
4. Myocardial contractility

Correct answer: 2. After load